Cohort study is which type of study -
1. Descriptive observational
2. Analytic observational
3. Experimental
4. Controlled trial

Correct answer: 2. Analytic observational

Explanation: Ans. is 'b' i.e., Analytic observational StudyUnit of study1.Observational studies A) Descriptive studies (formation of hypothesis) i) Case reportsii) Case series B) Analytic studies (testing of hypothesis) i) Case - control or case - referenceii) Cohort or follow-upiii) Ecological or correlational studyiv) Cross-sectional or pravalence studyIndividualsIndividualsPopulationIndividuals2.Experimental / intervention studies (testing of hvpothesis) i) Randamized controlled / clinical trialsii) Field trials or community intervention studiesiii) Community trialsiv) Animal studiesPatientsHealthy peopleCommunities